Succinyl Co-A is formed by
1. Histidine
2. Leucine
3. Valine
4. Lysine

Correct answer: 3. Valine